Colonic divericulosis and diverticulitis maximally seen in:
1. Sigmoid colon
2. Rectum
3. Transverse colon
4. Ascending colon

Correct answer: 1. Sigmoid colon

Explanation: Ans. (a) Sigmoid colonRef: Sabiston 20th edition, Page 1333Acquired diverticulum:* Most common site in colon -- sigmoid* Most common site in small intestine -- duodenum